Mitochondrial DNA (mt-DNA) is known for all except:
1. Maternal inheritance
2. Heteroplasmy
3. Leber hereditary optic neuropathy is the prototype
4. Nemaline myopathy results due to mutations in mt- DNA

Correct answer: 4. Nemaline myopathy results due to mutations in mt- DNA

Explanation: Nemaline myopathy Autosomal recessive Heterogeneous condition and not a mitochondrial disease. Myopathy d/t 5 genes . All code for thin filament-associated proteins, suggesting disturbed assembly or interplay of these structures as a pivotal mechanism. Mutations of the nebulin (NEB) gene Severe neonatal and early childhood forms